Which does not effect metabolism of oral contraceptive pill ?
1. Phenytoin
2. Gresiofulvin
3. Primidone
4. Penicillin

Correct answer: 4. Penicillin

Explanation: Ans. is d i.e., Penicillin Contraceptive failure may occur if the following drugs are given concurrently : a) Enzyme inducer - Enhances the metabolism of estrogen & progesterone. Phenytoin Carbamazepine Primidone Phenobarbitone Rifampicin Griseofulvin b) Suppression of intestinal microflora - enterohepatic circulation. Tetracyclines Ampicillin